The 5α reductase inhibitor that has been found to be effective both in benign prostatic hypertrophy and male pattern baldness is:
1. Flutamide
2. Finasteride
3. Prazosin
4. Minoxidil

Correct answer: 2. Finasteride